Vertical compaction of warm gutta-percha technique was given by:
1. Grossman
2. Ingle
3. Schilder
4. Cohen

Correct answer: 3. Schilder

Explanation: Vertical compaction of warm gutta-percha method of filling the root canal was introduced by Schilder with an objective of filling all the portals of exit with maximum amount of gutta-percha and minimum amount of sealer. This is also known as Schilder’s technique of obturation.